Specific treatment of severe pre eclampsia is?
1. Magnesium sulfate
2. Termination of pregnancy
3. Anti convulsants
4. Anti hypertensives

Correct answer: 2. Termination of pregnancy

Explanation: ANSWER: (B) Termination of pregnancy MgSo4 is given as prophylaxis and pregnancy is terminated irrespective of period of gestation. Indication of termination of pregnancy irrespective of period of gestation: 1. Severe pre eclampsia/impending eclampsia 2. Eclampsia 3. HELLP syndrome. Hence termination of pregnancy is specific treatment and MgSO4 is prophylactic treatment.